Apex of the lung is commonly involved by:
1. Chlamydia
2. Coxiella burnetti
3. Klebsiella
4. Actinomyces israelii

Correct answer: 3. Klebsiella

Explanation: Ans: c (Klebsiella) Ref: Davidson, 20th ed, p. 690; 19th ed, p. 527Klebsiella affects mainly the upper lobesKlebsiella pneumoniaeMarked systemic disturbance, consolidation in upper lobes, purulent dark sputum and high mortality.Pneumatocoeles are presentChlamydia psittaciContact with sick birds. Malaise, low grade fever, protracted illness and hepatosplenomegalyCoxiella burnettiFarm or abattoir contact. Chronic course, influenza like illness, dry cough, conjunctivitis, hepatomegaly and endocarditisActinomyces israeliiMouth commensal.Cervicofacial, abdominal or pulmonary infection, empyema, chest wall sinusesPus with 'sulphur granules'